Setting time of Amalgam is best controlled by?
1. Using spherical particles
2. Lathe cut alloy
3. Altering Hg-Alloy ratio
4. Trituration time

Correct answer: 4. Trituration time